After lifting something heavy from the ground, a patient complains of back pain, which is radiating to lateral leg and great toe of lower limb. The most probable diagnosis:
1. L3-L4 disc prolapse
2. L4-L5 disc prolapse
3. L5-S1 disc prolapse
4. L5 fracture

Correct answer: 2. L4-L5 disc prolapse

Explanation: Ans. b. L4-L5 disc prolapse